Platelet Dens granules contain all except -
1. ADP
2. 5-HT
3. Calsium
4. VwF

Correct answer: 4. VwF

Explanation: harshmohan textbook of pathology 7 th edition Platelet granules are released by the activated platelets .one of the platelet granules is dense bodies and their release liberates ADP ,ionic calcum ,5_HT,Histamine and epinephrine.VWF is synthesised by endothelial cells